Which of the following complications has been associated with rotavirus vaccine?
1. Guillain-Barr syndrome
2. Hemolytic anemia
3. Febrile seizures
4. Intussusception

Correct answer: 4. Intussusception

Explanation: There is a small risk of intussusception from rotavirus vaccination, usually within a week after the first or second dose. Ref : Park 23rd edition Pgno : 227